Most commonly occurring amino acid in the collagen structure is
1. Serine
2. Glycine
3. Hydroxy proline
4. Proline

Correct answer: 2. Glycine

Explanation: About 33%of aminoacids of collagen is glycine.Ref: DM Vasudevan - Textbook of Biochemistry, 7th edition, page no: 720